CPM (critical path method) is used for?
1. Cost benefit analysis
2. Cost-effective analysis
3. System analysis
4. Network analysis

Correct answer: 4. Network analysis

Explanation: Answer: D. Network analysis. (Ref Park's Textbook of PSM 22nd/Pg.815)CPM (critical path method) is used for Network analysis.Network analysis is graphic plan of all events & activities. The two important techniques are# PERT- Programme Evaluation Review Technique# CPM - Critical Path Method- critical path is Longest Path of Network.Management techniques are divided in:~Methods based on behavioural sciences1. Organizational Design- As per health needs & demands of people. Reviewed every few years2. Personal Management- Skillful use of human resources. Carrot - Stick approach3. Communication- At various levels4. Information System - Collection, classification, transmission, storage, retrieval, transformation, display of information5. Management by Objectives -Short term objective in front of different sub units.Quantitative Methods1. Cost Benefit Analysis - Benefit expressed in monetary terms. Limited value in health2. Cost Effective Analysis - Expressed in results achieved. Useful in health activities/ problems3. Cost Accounting - Basic data on cost structure. Help in cost control, cost reimbursement4. Input Output Analysis - Input- all resources. Output- result5. Model - Abstraction of reality.6. System Analysis - Help decision maker to choose appropriate course of action. Finding most cost effectiveness of alterative methods7. Network analysis8. Planning Programming Budgeting System - Help decision maker to allocate resources. ZERO Budget Approach9. Work sampling - Systematic observation & recording of activities. Help in standardizing methods, determining man- power need.10. Decision Making - Differential Diagnosis